True about granulosa cell tumours:a) MC malignant tumour of ovaryb) It secretes hormonesc) As endometrial hyperplasiad) Chemotherapy sensitive
1. a
2. c
3. ac
4. bc

Correct answer: 4. bc